Hutchinson's pupils:
1. Seen in syphilis
2. Unilateral constricted pupil
3. Irregular pupil
4. None of the above

Correct answer: 4. None of the above

Explanation: Ans. None of the above